The drugs not used for treatment of osteoporosis are -
1. Biphosphonates
2. Steroids
3. Denosumab
4. Calciam

Correct answer: 2. Steroids

Explanation: A.General 1.Bedrest 2.Local heat 3.Analgesics 4.Exercise: Regular walking or other weight bearing exercise for 1 hour 3 times a week protects bone mass 5.Prevention of injury (most hip and wrist fractures are caused by falls). 6.Excessive thyroid hormone replacement therapy should be avoided. B.Antiresorptive agents 1.Oestrogen: Oestrogen 0.625 mg + Medroxyprogesterone (cyclic progestin) 5-10 mg per day 10-14 days/month. Progesterone to be added to prevent endometrial carcinoma. Transdermal oestrogen patches are used to avoid deep vein thrombosis and pulmonary embolism. Oestrogen therapy is important in women with premature or surgical menopause. Contraindications of oestrogen therapy are carcinoma breast or endometrial cancer, recurrent thromboembolic disease, acute liver disease and unexplained vaginal bleeding. 2.Calcium: The recommended daily calcium intake for postmenopausal women is 1,500 mg, and 1,000 mg for premenopausal women. 3.Calcitonin: Salmon calcitonin for 1-2 years increases vertebral bone density and decreases the risk of vertebral fracture. The usual dose is 50 IU SC per day 3 times a week. (salmon calcitonin 200 units/day as nasal spray). The side effects are nausea, flushing, and rarely allergic reactions. 4.Bisphosphonates: They specifically impair osteoclast function and reduce osteoclast number partly by induction of apoptosis. a.Alendronate 5-10 mg/day b.Risedronate 5 mg/day The prominent adverse effect is esophageal irritation and hence both should be taken with a full glass of water and the patient should remain upright for 30 min after taking the drug. c.Etidronate is given as an intermittent cyclical regimen, 400 mg orally for 2 weeks, has some efficacy against vertebral fractures. 5.Selective oestrogen receptor modulators (SERMS) a.Raloxifene 60 mg/day b.Tamoxifen Both reduce bone turnover and bone loss in postmenopausal women. In addition Tamoxifen is beneficial in women at increased risk of breast cancer and Raloxifene reduces serum total and LDL cholesterol, Lp (a), and fibrinogen. C.Bone forming agents a.Fluoride--75 mg/day b.Anabolic steroids: Testosterone is used in the treatment of osteoporotic man with gonadal deficiency. D.Supplementation of Vitamin D metabolites and thiazide diuretics. R ALAGAPPAN MANUAL OF PRACTICAL MEDICINE FOURTH EDITION PAGE NO-691,692